When a patient protrudes his tongue, it deviated to the right. Which of the following nerves is damaged:
1. Left hypoglossal
2. Glossopharyngeal
3. Right hypoglossal
4. Facial nerve

Correct answer: 3. Right hypoglossal